Antrum of Highmore is -
1. Maxillary
2. Ethmoid
3. Sphenoid
4. Frontal

Correct answer: 1. Maxillary

Explanation: Ans. is 'a' i.e., Maxillary o Maxillary sinus is also known as antrum of Highmore.Maxillar sinus ( Antrum of Highmore)o These paired sinuses lie under the cheek,o It is the largest of the group ofpara-nasal sinuses.o Maxillary sinus is developed at birth and first sinus to be developed.o It is visible on X-ray at 4-5 months of age and completely developed by 9 years of age (at the time of second dentition),o It is the most common site of sinusitis overall and in adults (most common sinusitis in children is ethmoidal sinusitis),o It is the most common site for non-invasive fungal sinusitis.